A patient complains to a physician of epigastric pain that fails to respond to antacids. Endoscopy demonstrates an ulcerated mass on the greater curvature of the stomach. Genetic studies on the tumor demonstrate an altered DCC gene. Which of the following tumor suppressor genes is found on the same chromosome as DCC?
1. BRCA-1
2. DPC
3. NF-1
4. NF-2

Correct answer: 2. DPC

Explanation: The tumor is gastric carcinoma, which is associated with the DCC oncogene located on the long arm of chromosome 18 (18q). DCC is also associated with carcinomas of colon. 18q also has the DPC gene, associated with pancreatic cancer. The BRCA-1 gene is associated with breast cancer and ovarian cancer, is on 17q. The NF-1 gene is associated with neurofibromatosis type I, is on 17q. The NF-2 gene is associated with neurofibromatosis type II, is on 22q.